Which one of the opioids has maximum plasma protein binding capacity ?
1. Morphine
2. Sufentanil
3. Fentanyl
4. Pethidine

Correct answer: 2. Sufentanil

Explanation: Ans. is 'b' i.e., Sufentanil